DMF(s) is defined as:
1. Irreversible index
2. Measures cumulative index
3. Morbidity index
4. All of the above

Correct answer: 4. All of the above